Most common malignancy in Lung is -
1. Small cell carcinoma
2. Squamous cell carcinoma
3. Adenocarcinoma
4. Lymphoma

Correct answer: 3. Adenocarcinoma

Explanation: Ans. is 'c' i.e., Adenocarcinoma o Squamous carcinoma was the most commonly diagnosed form of NSCLC; however. with the steady decline in cigarette consumption over the past four decades and changes in cigarette manufacturing (including the use of different types of filters), adenocarcinoma has replaced squamous cell carcinoma as the most frequent histologic subtype.